All of the following structures form the stomach bed except:
1. Splenic artery
2. Splenic flexure
3. Tail of pancreas
4. Transverse mesocolon

Correct answer: 3. Tail of pancreas

Explanation: STOMACH BED Diaphragm. Left kidney Left suprarenal Pancreas except tail Transverse mesocolon Splenic flexure of colon Splenic artery ALSO REMEMBER Posterior surface of stomach is separated from stomach-bed by: Lesser sac.